With respect to Acute myelodyspalstic syndrome, all of the following cytogenetic abnormalities are seen except-
1. Trisomy 8
2. deletion of 20q
3. deletion of 5q
4. Monosmy 9

Correct answer: 4. Monosmy 9

Explanation: Ans. is 'd' i.e., Monosmy 9 * MDS is frequently associated with chromosomal abnormalities including monosomy 5 and 7, deletion of 5q and 7q, trisomy 8 and deletion of 20q.